Alpha waves are typically seen in which of the following states
1. Deep sleep
2. Relaxed awake
3. Awake alert
4. Highly focused

Correct answer: 2. Relaxed awake

Explanation: Humans who are awake but at rest with the mind wandering and the eyes closed, the most prominent component of the EEG is a fairly regular pattern of waves at a frequency of 8-13 Hz and amplitude of 50-100 mV when recorded from the scalp. This pattern is the alpha rhythm